True about H mole :
1. Thyrotoxicosis rare
2. Raised hCG
3. Hysterectomy in selected cases
4. All

Correct answer: 4. All

Explanation: Ans. is a, b and c i.e. Raised hCG; Hysterectomy in selected cases; and Thyrotoxicosis rare Lets have a look at each option separately ? Option 'a' Always asociated with raised uterine size for gestational age. This statement is incorrect as : "The size of the uterus is more than that expected for the period of amenorrhea in 70%, corresponds with the period of amenorrhea in 20% and smaller than the period of amenorrhea in 10%." Option : Raised hCG ? H. mole is characterised by raised levels of hCG (levels > 60,000m!U/ml as per Option 'c' Hysterectomy in selected cases : Management of H.mole * TOC in H.mole Suction evacuation followed by gentle but thorough currettage. * Hysterectomy It is indicated only in case of Female has completed her family Age of patient - >35 years (as chances of malignancy are more). * Hysterotomy Indicated in cases complicated by haemorrhage. So, option 'c' i.e. hysterectomy is done in selected cases is correct whereas option 'd' i.e. chemotherapy is the TOC is incorrect. As far as thyrotoxicosis is concerned : It is seen in only 2% cases of H.mole. It is rare (so, option 'e' is correct). "clinically apparent thyrotoxicosis is unusual."